Which type of malaria is associated with renal failure -
1. Falciparum
2. Vivax
3. Malariae
4. Ovale

Correct answer: 1. Falciparum

Explanation: P.falciparum - The trophozoites usually disappear from peripheral circulation after about 24 hours. By then, a strain-specific high molecular weight antigen appears on the surface of the infected red cells, associated with knob-like projections on the erythrocyte membrane. Such red cells disappear from peripheral circulation and adhere to the walls of venules and capillaries in internal organs--brain, heart, kidney, lungs, spleen, intestine, bone marrow, placenta. This cytoadherence causes sequestration of infected red cells in, these sites and is responsible for many of the serious complications of falciparum malaria, such as cerebral malaria.